Testicular teratoma has all marker EXCEPT
1. AFP
2. HCG
3. CEA
4. LDH

Correct answer: 3. CEA

Explanation: CEA REF: Harrison's 17th ed p. 551 CEA is not a testicular tumor marker Teratoma is a non seminomatous tumor of testis. Marker Increased in Beta HCG Both seminoma and non-seminoma AFP Only in non-seminoma LDH Both seminoma and non-seminoma